All of the following statements about synovial cell sarcoma, are true, except -
1. Originate from synovial lining
2. Occur more often at extraarticular sites
3. Usually seen in patients less than 50 years of age
4. Knee and foot are common sites involved

Correct answer: 1. Originate from synovial lining

Explanation: The term synovial cell sarcoma' is however a misnomer as synovial cell sarcomas do not arise from synovium.
Most synovial sarcomas are extraarticular and only less than 10% are intraarticular.